All of the following are supports of uterus except-
1. Pelvic diaphragm
2. Utero sacral ligament
3. Tubo ovarian ligament
4. Round ligament

Correct answer: 3. Tubo ovarian ligament

Explanation: Primary supports of Uterus
-        Muscular support

   Pelvic diaphragm (Levator ani), urogenital diaphragm, perineal body.

-        Mechanical support

   Uterine axis, pubocervical ligament, Mackenrodt ligament, uterosacral ligament, round ligament of the uterus.